Parotitis and orchitis are common manifestations of:
1. Diphtheria
2. Measles
3. Rubella
4. Mumps

Correct answer: 4. Mumps

Explanation: d. Mumps(Ref: Nelsons' 20/e p 1552-1553, Chai 8/e p 217-218)Mumps is characterized by fever, bilateral or unilateral parotid swelling and tenderness, and the frequent occurrence of meningoencephalitis and orchitis.